McMurray's test is positive in the injury of -
1. Anterior cruciate ligament
2. Posterior cruciate ligament
3. Medical meniscus injury
4. Popliteal bursitis

Correct answer: 3. Medical meniscus injury

Explanation: Tests for meniscal tears 

McMurray's test
Apley's grinding test
Thessaly test